Non Oliguric Acute Renal Failure is typically associated with
1. Aminoglycoside toxicity
2. Contrast Induced Nephrotoxity
3. Hemolytic Uremic syndrome
4. Glomerulonephritis

Correct answer: 1. Aminoglycoside toxicity

Explanation: Answer is A (Aminoglycoside toxicity): Oliguric phase of ATN is asociated with Hyponatremia and not hypernatremia Hyponatremia results from expansion of ECF volume due to dimnished water excretion and excessive administration of free water (volume overload)